Number of family member is a -
1. Qualitative variable
2. Discrete variable
3. Continuous variable
4. Categorial variable

Correct answer: 2. Discrete variable

Explanation: Discrete variable: Fixed values no intermediate values eg: no of girls, no. of children, etc. Continuous variable: can take intermediate values eg:weight, height, etc